Measurement used to estimate gestational age in first trimester.
1. CRL
2. Femur length
3. BPD
4. Head circumference

Correct answer: 1. CRL

Explanation: Crown - rump length - 1st trimeter.
FL - 2nd and 4rd trimeter.
AC and HC  - 3rd trimester.